The most radiosenstitive tissue is -
1. Brain
2. Bone marrow
3. Thyroid
4. Liver

Correct answer: 2. Bone marrow

Explanation: Ans. is 'b' i.e., Bone marrow Radiosensitivity of important organs in decreasing order. Bone marrow > Testes > Ovary > Kidney > Liver > Lung > Heart > GIT (Stomach > Intestine) > Thyroid > Brain & spinal cord (CNS) > Skin + Cartilage > Adult bone > Vagina > Uterus.